A 56-year-old male with advanced bladder carcinoma suffers from difficulty while walking. Muscle testing reveals weakened adductors of the right thigh. Which nerve is most likely being compressed by the tumor to result in walking difficulty?
1. Femoral
2. Obturator
3. Common fibular (peroneal)
4. Tibial

Correct answer: 2. Obturator

Explanation: The obturator nerve arises from the lumbar plexus and enters the thigh through the obturator canal. This nerve is responsible for innervation of the medial compartment of the thigh (adductor compartment). Injury to this nerve can result in weakened adduction and difficulty walking. The femoral nerve innervates muscles of the anterior compartment of the thigh that are responsible for hip flexion and leg extension. The sciatic nerve branches into the common fibular (peroneal) and tibial nerves. The common fibular (peroneal) nerve branches into the deep and superficial branches of the fibular (peroneal) nerve responsible for innervation of the anterior and lateral compartments of the leg, respectively. The tibial nerve innervates the muscles of the posterior compartment of the thigh and leg, which are responsible for extension of the hip, flexion of the leg, and plantar flexion of the foot.